Cross examination of the prosecution witness is done by-
1. Public prosecutor
2. Defence counsel
3. Judge
4. None

Correct answer: 2. Defence counsel

Explanation: In government prosecutions, cross examination is done by defense lawyer.